Green stick fracture is
1. Fracture in adults
2. Complete fracture
3. Incomplete fracture
4. Fracture spine

Correct answer: 3. Incomplete fracture

Explanation: green stick fracture is an incomplete fracture. In which bone is incompletely divided &periosteum remain in continuity .
Bone is buckled /bent.Seen in children whose bones are more springy than those of adults. 
Children also sustain injuries where bone is partially deformed (misshapen) without any crack visible. 
In complete fracture bone is split into 2 or more fragments .
compression fracture occur when cancellous bone is crumpled happen in adult & typically where this type of bone
structure is present eg;vertebral bodies ,calcaneum,tibial plateau.